Not a sign of Organophosphorus poisoning is:
1. Bradycardia
2. Salivation
3. Miosis
4. Bronchodilatation

Correct answer: 4. Bronchodilatation

Explanation: Bronchodilatation